Squeeze Technique is used for:
1. Impotence
2. Premature ejaculation
3. Infertility
4. Priaprism

Correct answer: 2. Premature ejaculation

Explanation: B i.e. Premature ejaculation Master and Johnson's TechniqueIt is dual sex therapy i.e. patient alone is not treated but both partners are treated together.TypesSensate Focus TechniqueSqueeze or Semen's Technique- For treatment of impotenceQ- For treatment of premature ejaculationQ- The aim is to discover on body (excluding- When male partner feels ejaculatory inevitability,thegenitals) sensate focus (where manipulation leadsfemale partner squeezes the penis on coronal ridge thusto sexual arousal).delaying ejaculation.